Most common indication for live transplant in children:
1. Viral hepatic disease
2. Biliary atresia
3. Primary sclerosing cholangitis
4. Crigler Najar Syndrome

Correct answer: 2. Biliary atresia

Explanation: Ans. (b) Biliary atresiaRef: Sabiston 20th edition, Page 638* In children who account for around 10-15% of all liver transplants, Biliary atresia is the most common indication for transplantation.